Which of the following syndrome is not associated with the Talon’s cusp?
1. Sturge Weber syndrome
2. Rubinstein Taybi syndrome
3. Mohr syndrome
4. Peutz-Jeghers syndrome

Correct answer: 4. Peutz-Jeghers syndrome

Explanation: Talon cusps appear to occur more frequently in Asians, Native Americans, the Inuit, and those of Arab descent. Both sexes may be affected, and the occurrence may be unilateral or bilateral. 
In isolated cases, genetic influences appear to have an effect, because identical talon cusps occasionally have been documented in twins. 
Talon cusps also have been seen in patients with Rubinstein-Taybi syndrome, Mohr syndrome, Ellis-van Creveld syndrome, incontinentia pigmenti achromians, Berardinelli-Seip syndrome, and Sturge-Weber angiomatosis. Although the strength of association between the presence of talon cusps and these syndromes generally is not clear, Rubinstein-Taybi syndrome is strongly correlated as demonstrated by a study of 45 affected patients in which 92% demonstrated talon cusps.
Reference: ORAL AND MAXILLOFACIAL PATHOLOGY, Neville, FOURTH EDITION page no 81